Defence mechanism in OCD
1. Progression
2. Regression
3. Magical thinking
4. Reaction formation

Correct answer: 4. Reaction formation

Explanation: Three defense mechanisms are common in OCD- Isolation, Undoing & Reaction formation Isolation: Unconsciously isolate and disown their own thoughts, experiencing as forign thoughts. Undoing: unconsciously cancel out an unacceptable desire or act by performing another act. Reaction formation: suppress an unacceptable desire by taking on a lifestyle that expresses the opposite desire.